The early changes in corticosteroid-induced cataract are in the form of:
1. Central posterior subcapsular lens changes
2. Anterior cortical lens changes
3. Nuclear changes
4. Diffuse lens changes

Correct answer: 1. Central posterior subcapsular lens changes

Explanation: Ans. Central posterior subcapsular lens changes